After exploration of common bile duct, the T-tube is removed on which of the following days
1. 3rd postoperative day
2. 4th postoperative day
3. 12th postoperative day
4. 6th postoperative day

Correct answer: 3. 12th postoperative day

Explanation: Cholecystectomy with choledochotomy and CBD exploration T-tube is left in place for cholangiography and removal of any retained stone T-tube cholangiogram is done on 7th - 10th day Post-operatively Remove T-tube if cholangiogram is normal If residual stone is discovered on the postoperative cholangiogram, T-tube should be left in place for 4-6 weeks for the tract to mature The stones are removed percutaneously through the matured tract by Burhenne's technique Ref: Sabiston 20th edition Pgno : 1511